An elderly multiparous woman with intrauterine foetal death was admitted with strong labour pains The patient suddenly goes in shock with cyanosis respiratory disturbances and pulmonary oedema The most likely clinical diagnosis is;
1. Rupture of uterus
2. Congestive heart failure
3. Amniotic fluid embolism
4. Concealed accidental hemorrhage

Correct answer: 3. Amniotic fluid embolism

Explanation: Amniotic fluid enter the maternal circulation and sets up a DIC,leading to consumptive coagulopathy. Classically a woman in late labour gasps for air,has bronchospasm,become cyanotic and undergoes immediate collapse and cardiorespiratory arrest,usually accompanied by hemorrhage. Reference: Textbook of obstetrics,Sheila Balakrishnan,2nd edition,page no;408